5 Year old child predominantly on maize based diet presents with recurrent diarrhea, dermatitis with Rashes in neck area. What is the most probable diagnosis
1. Beriberi
2. Acrodermatitis enteropathica
3. Pellagra
4. Tyrosinemia

Correct answer: 3. Pellagra

Explanation: Maize based diet predisposes to Niacin deficiency which leads to Pellagra
Pellagra: -
Diarrhea
Dermatitis
Dementia.